Which of the following is not required for healing -
1. Vitamin C
2. Copper
3. Methionine
4. Sodium

Correct answer: 4. Sodium

Explanation: Ans. is 'd' i.e., Sodium o Nutrient required for proper wound healing areA) Minerals: Iron (divalent iron), Manganese, Magnesium, copper, calcium, zinc.B) Vitamins: Ascorbic acid (vitamin C), Retinol (vitamin A), and less importantly riboflavin, pyridoxin, thiamine, tocopherol (vitamin E).C) Protein and amino acids : Methionine and cysteine are most important.